A 30 year old male presents with history of abnormal excessive blinking and grunting sounds. He has no control of these symptoms which have increased in frequency. Which of the following medications can be used for treatment of this person?
1. Carbamazepine
2. Imipramine
3. Risperidone
4. Methylphenidate

Correct answer: 3. Risperidone

Explanation: The history of the patient suggests the presence of the tic disorder. Treatment of Tic Disorder: *Dopamine depleter: Tetrabenazine (drug of choice) *Dopamine receptor blockers: Haloperidol,Fluphenazine, Pimozide *Atypical antipsychotics: Aripiprazole, Risperidone *Clonazepam *Carbamazepine *Botulinum toxin (Local injection) REF:KATZUNG 14TH ED.